Position of mid-inguinal point is
1. Mid point of Anterior Superior Iliac Spine (ASIS) and pubic tubercle
2. Mid point of ASIS and public symphasis
3. Mid point of both ASIS
4. Mid point of inguinal ligament

Correct answer: 2. Mid point of ASIS and public symphasis

Explanation: The midpoint of inguinal ligmaent is halfway between the ASIS and the pubic tubercle, which is the position of femoral nerve. It is used in femoral nerve blocks. Whereas the mid-inguinal point is halfway between ASIS and the pubic symphysis, which is the position of the femoral artery.